All the following are helpful in the initial treatment of severe hypercalcemia associated with hyperparathyroidism except:
1. Hydration with saline
2. Forced diuresis with loop diuretics
3. Glucocorticoids
4. Pamidronate

Correct answer: 3. Glucocorticoids

Explanation: Glucocorticoids are used in management of hypercalcemia due to sarcoidosis, vitamin D intoxication, vitamin A toxicity. Management of dangerous Hypercalcemia Hydration with saline. Saline can be administered with furosemide and can be given twice daily to depress the tubular reabsorptive mechanism for calcium (Avoid dehydration or it will worsen hypercalcemia). IV use of Pamidronate and Zolendronate is approved for the treatment of hypercalcemia; between 30 and 90 mg Pamidronate, given as a single IV dose over a few hours, returns serum calcium to normal within 24-48 hours with an effect that lasts for weeks in 80-100% of patients.